The distance between implant and adjustment tooth should be at least
1. 7 mm
2. 1.5 mm
3. 3.5 mm
4. 3.75 mm

Correct answer: 2. 1.5 mm